Dying declaration comes under
1. Sec. 32 CrPC
2. Sec. 32 IEA
3. Sec. 62 IEA
4. Sec. 62 CrPC

Correct answer: 2. Sec. 32 IEA

Explanation: Section-32(1) of Indian Evidence Act, the Word "Dying Declaration" means a statement is written or verbal of relevant facts made by a person, who is dead. It is the statement of a person who had died explaining the circumstances of his death. Ref:Krishnan vij Textbook of Forensic Medicine and Toxicology; 5th ed; Page no: 9